The most common malignancy in an individual on immunosuppressive therapy is of-
1. Lung
2. Skin
3. Hodgkin lymphoma
4. Kidney

Correct answer: 2. Skin

Explanation: four most common cancers among immuno suppressant patients more commonly in these individuals than in the general population are non-Hodgkin lymphoma (NHL) cancers of the skin. NHL can be caused by Epstein-Barr virus (EBV) infection, and liver cancer by chronic infection with the hepatitis B (HBV) and hepatitis C (HCV) viruses. Lung and kidney cancers are not generally thought to be associated with infection. Ref Harrison 20th edition pg 546